The signs of malignant transformation in osteochondroma are all except
1. Pain
2. Weight loss
3. Increase in size
4. Increase in thickness of cartilage cap

Correct answer: 2. Weight loss

Explanation: Ans. b. Weight loss